Intestinal polyps that can potentially grow into cancer:
1. Adenomatous polyp
2. Hyperplastic polyp
3. Juvenile polyp
4. Hamartomatous polyp

Correct answer: 1. Adenomatous polyp

Explanation: ADENOMATOUS POLYPS Most common neoplastic polyp is adenomatous, which harbors malignant potential. Most colon cancers arise from adenomatous polyps (adenoma). Conditions associated with adenomatous polyps : Strong association with ureterosigmoidostomies, acromegaly and streptococcus bovis bactermia. Probability of development of malignancy depends upon: Gross Appearance of lesion Histology Size Pedunculated Sessile (Increased risk) Tubular (MC) Tubulovillous Villous (Highest risk) <1 cm 1-2 cm >2 cm (Increased risk) Adenomatous Polyps Types Incidence Villous tissue Risk of Malignancy Tubular 65-80% < 25% 5% Tubulovillous 10-25% 25-75% 20% Villous 5-10% > 75% 40%